Lipoma becomes malignant commonly at which site:
1. Subcutaneous
2. Sub-aponeurotic
3. Retroperitoneal
4. Intermuscular

Correct answer: 3. Retroperitoneal

Explanation: RETROPERITONEAL LIPOMA These swellings sometimes reach an immense size Retroperitoneal lipoma is often malignant (liposarcoma) and may increase rapidly in size A retroperitoneal lipoma sometimes undergoes myxomatous degeneration Clinical Features Swelling or indefinite abdominal pain More common in women Diagnosis Diagnosis is usually by ultrasound and CT scanning.